'Strawberry berry gallbladder' is seen in
1. Cholesterosis
2. Porcelain gall bladder
3. Necrosis of gall bladder
4. Gall bladder carcinoma

Correct answer: 1. Cholesterosis

Explanation: the strawberry gallbladder is seen in cholesterosis,i.e.abnormal deposition of cholestrol in gallbladder.In the freshstate,the interior of the gallbladder looks something like a strawberry,the yellow specks (submucous aggregations of cholesterol crystals and cholesterol esters )correspond to the seeds.
It may be associated with cholesterol stones.